All of the following cell types contain the enzyme telomerase which protects the length of telomeres at the end of chromosomes, except
1. Germinal
2. Somatic
3. Hemopoietic
4. Tumor

Correct answer: 2. Somatic

Explanation: Telomerase is absent from most somatic cells. It is present in germ (germinal) cells, cancer cells and stem cells (including hematopoietic stein cells).